Geeta is preoccupied about her ear size and repeatedly looks into the mirror. She is possibly suffering from?
1. Obsessive compulsive disorder
2. Dysmorphophobia
3. Normal behaviour
4. Hypochondriacal delusion

Correct answer: 2. Dysmorphophobia

Explanation: Body Dysmorphic Disorder (Dysmorphophobia or BDD) Preoccupation with an imagined or exaggerated body defect Multiple dermatologist or plastic surgeon consultations Secondary depressive state and obsessive personality disorder are common comorbid conditions If the preoccupation reaches delusional level, it is called Delusional disorder - Somatic type and might require antipsychotic In DSM 5, it comes under the broader category of Obsessive compulsive and related disorder